Fasciculation are caused by –
1. Suxamethonium
2. Pancuronium
3. d-TC
4. Vecuronium

Correct answer: 1. Suxamethonium

Explanation: Fasciculation is characteristic of depolarizing block (sch).